Which virus given below is not a teratogenic virus ?
1. Rubella
2. Cytomegalovirus
3. Herpes simplex
4. Measles

Correct answer: 4. Measles

Explanation: Ans. is 'd' i.e., Measles Many viruses can be transmitted to the fetus and cause infection and tissure damage. Five viruses are known to be teratogenic in humans: cytomegalovirus, rubella, herpes simplex, Venezuelan equine encephalitis, and varicella viruses.